Resolution power of light microscope is
1. 2nm
2. 20 nm
3. 200 nm
4. 2000 nm

Correct answer: 3. 200 nm

Explanation: Ans :c) 200 nmThe resolving power of light microscope is limited by the wave length of light. With visible light, using the best optical system, the limit of resolution is 200- 300 nm.Extra points:* Wavelength of electron in Electron microscope- 0.0005nm* Resolving power of electron microscope -1 nm* Reflected light rather than transmitted light is med in Dark field /dark ground microscope